All of the following are mediators of acute inflammation except:
1. Angiotensin
2. Prostaglandin E2
3. Kallikrein
4. C3a

Correct answer: 1. Angiotensin

Explanation: Kallikreins like:- Bradykinin PGs Complement components are mediators of acute inflammation.